Consider the following disorder- Sydenham's chorea Migraine Mania Obsessive compulsive disorder Valproic acid is used in ehich of the above disorders?
1. 1 and 3 only
2. 2 and 4 only
3. 1, 2, and 3
4. 2, 3, and 4

Correct answer: 3. 1, 2, and 3

Explanation: Treatment. There is no specific treatment for Sydenham's chorea and symptoms usually resolve themselves in approximately 3 to 6 months. Bed rest, sedatives and medication to control movements may be prescribed. Penicillin prophylaxis may also be prescribed to avoid further streptococcal infection. valproic acid can also be used Valproic acid is used to treat bipolar disorder. It's occasionally used to prevent migraine headaches and can also be used to treat epilepsy. This medicine is only available on prescription. It comes as capsules or tablets. Valproic acid is used to treat various types of seizure disorders. Valproic acid is also used to treat manic episodes related to bipolar disorder (manic depression), and to prevent migraine headaches. Valproic acid may also be used for purposes not listed in this medication guide. Ref Davidson 23rd edition pg 1067